All of the following show compression osteosynthesis except:
1. Dynamic compression plates.
2. Champys mini plates.
3. Eccentric compression plates.
4. Lag screw.

Correct answer: 2. Champys mini plates.